Adverse effects of salmeterol include :
1. Hyperkalemia
2. Seizures
3. Tremors
4. Interstitial nephritis

Correct answer: 3. Tremors